Narcolepsy is due to abnormality in
1. Hypothalamus
2. Neocortex
3. Cerebellum
4. Medulla oblongata

Correct answer: 1. Hypothalamus

Explanation: Narcolepsy is the prototypical example of sleepiness produced by a basic CNS dysfunction of sleep mechanisms. The etiology stems from a genetically triggered Hypocretin dysfunction and deficit. It is apparent that the hypocretin system plays a critical role in narcolepsy. The Hypocretin producing cell bodies are specific to Hypothalamus and have widespread anatomical projections. Ref: Synopsis of Psychiatry, 11e, pg 548. Ebrahim IO, Howard RS et al. The Hypocretin/ Orexin system. J R Soc Med, 2002 May, 95(5), 227-30.